Bone scan in multiple myeloma shows-:
1. Hot spot
2. Cold spot
3. Diffusely increased uptake
4. Diffusely decreased uptake

Correct answer: 2. Cold spot

Explanation: B i.e. Cold spot